An 80 year old asymptomatic woman was detected to have a monoclonal spike on serum electrophoresis (IgG levels 1.5 g/dl). 1: one marrow revealed plasma cells of 8%. The most likely diagnosis is -
1. Multiple myeloma
2. Indolent myeloma
3. Monoclonal gammopathy of unknown significance
4. Waldenstorrn's macroglobulinemia

Correct answer: 3. Monoclonal gammopathy of unknown significance